Which vitamin is required for hydroxylation of proline?
1. A
2. B
3. C
4. D

Correct answer: 3. C

Explanation: In Collagen Synthesis: Vitamin C is required for the post-translational modification, Hydroxylation of lysine and Proline Vitamin C plays the role of a coenzyme The hydroxylation reaction is catalysed by lysyl hydroxylase (for lysine) and prolyl hydroxylase (for proline) this reaction is dependent on vitamin C, molecular oxygen and alpha-ketoglutarate Hydroxyproline and hydroxylysine are essential for the collagen cross-linking and the strength of the fiber Ref: Satyanarayana 4th ed page 132